There is a defect in the production of melanin in all except-
1. Albinism
2. Melasma
3. Vitiligo
4. Piebaldism

Correct answer: 2. Melasma

Explanation: In melasma etiology is ultra violet rays. It is also triggered by pregnancy and oral contraceptive pills. All the other given conditions are associated with defects in melanin production.